Treatment of choice for severe falciparum malaria is?
1. Chloroquine
2. Intravenous artesunate
3. Intravenous quinine
4. Intravenous quinidine

Correct answer: 2. Intravenous artesunate

Explanation: Intravenous or intramuscular artesunate is the treatment of choice in severe malaria. Quinine can be used when artesunate is not available. Artemether by intramuscular route is acceptable as an alternative in the treatment of severe falciparum malaria during an epidemic. Ref: Harrison's Principles of Internal Medicine, 17th Edition, Pages 1288-9 ; Guidelines for The Treatment of Malaria By World Health Organization, 2nd Edition, Pages 17, 57 ; Essentials of Medical Pharmacology By KD Tripathi, 5th Edition, Pages 747-8